Which of the following findings in a newborn suggests RDS?
1. Develop 6 hrs after birth
2. Air bronchogram seen
3. Receipt of antenatal steroids
4. Term gestation

Correct answer: 2. Air bronchogram seen

Explanation: Ans. is 'b' i.e., Air bronchogram seen Age of onset of infant Respiratory distress syndromeInfant respiratory distress syndrome presents immediately or soon after birth.Incidence and severity of RDS is inversely related to gestational useApproximately 50% of the neonate's bom at 26- 28 weeks gestation develops respiratory distress syndrome where as less than 30% of premature neonates born at 30-31 weeks gestation develop respiratory distress syndrome.Administration of antenatal corticosteroid reduces the incidence of respiratory distress syndrome Administration of single dose of corctisteroid reduces the incidence and severity of respiratory distress syndrome if delivery occurs within one week of administration of corticosteroid.Administration of corticosteroid cause 50% reduction in the incidence of respiratory distress syndrome.Air bronchogram is a characteristic X- Ray feature of Hyaline membrane diseaseX-Ray features of Hyaline membrane diseasePronounced hypoaerationB/L diffuse reticulo granular opacities in the pulmonary parenchyma."Prominent air broncho2rams" (aerated bronchioles super- imposed on a background of collapsed alveole)Air bronchogramAir bronchogram refers to the visualization of air filled bronchus when the surrounding alveoli are opacified.Normally, the lung fields are radiolucent and the bronchi are not separately visualized.But in certain conditions there is opacification of the alveoli due to various reasons.Due to this reason, the bronchus stands out as "radiolucent" in contrast to the adjacent alveoli, that are" radiopaque"These changes can be due to pneumonic consolidation, collapse of a part of the lung, or inflammatory edema in the lung tissue.Conditions associated with Air bronchogramARDSHyaline membrane diseaseAlveolar cell carcinomaPulmonary consolidationPulmonary edemaAlveolar proteinosisSarcoidosisLymphoma